Detoxification of drugs is controlled by ?
1. Cytochrome
2. Cytochrome p450
3. Cytochrome C
4. Cytochrome A

Correct answer: 2. Cytochrome p450

Explanation: Ans. is 'b' i.e., Cytochrome p450 Cytochrome p450 enzymes are microsomal enzymes that are involved in phase I metabolism of many drugs. Most of the drugs are metabolized by CYP 3A4 isoform.